All of the following are true regarding Tetralogy of Fallot except
1. Ejection systolic murmur in second intercostal space
2. Single second heart sound
3. Predominantly left to right shunt
4. Normal jugular venous pressure

Correct answer: 3. Predominantly left to right shunt

Explanation: The four components of the tetralogy of Fallot are malaligned VSD, obstruction to RV outflow, aortic override of the VSD, and RV hypertrophy due to the RV's response to aortic pressure the large VSD When the RV outflow obstruction is severe, pulmonary blood flow is reduced markedly, and a large volume of desaturated systemic venous blood shunts right-to-left across the VSD. ( Harrison's principle of internal medicine,18th edition,pg no. 1927)